All are antiplatelet drugs except -
1. Aspirin
2. Clopidogrel
3. Dipyridamole
4. Warfarin

Correct answer: 4. Warfarin

Explanation: Ans. is 'd' i.e., Warfarin Antiplatelet (antithrombotic) drugs o Aspirin o Ticlopidine o GP Hb/Illa antagonists (Abciximab, eptifibatide, tirofiban) o Dipyridamole o Clopidogrel o Cilastazole